The drug that should be used for prophylaxis of close contacts of a patient suffering from meningococcal meningitis is:
1. Rifampicin
2. Dapsone
3. Erythromycin
4. Amikacin

Correct answer: 1. Rifampicin

Explanation: - Rifampicin, ceftriaxone and ciprofloxacin are used for the prophylaxis of meningococcal meningitis. - Ceftriaxone is most effective drug for prophylaxis of meningococcal meningitis, however it is injectable drug. - Resistance to rifampicin has been reported in many meningococci, so it is not preferred these days. - The drug of choice for prophylaxis of meningococcal meningitis should be chosen as Ciprofloxacin > Rifampicin > Ceftriaxone